CHARGE Syndrome includes?
1. Choanal atresia
2. Coloboma of eye
3. Ear anomalies
4. All of above

Correct answer: 4. All of above

Explanation: Ans. D. All of aboveCongenital anomalies are a major cause of stillbirths and neonatal deaths, but they are perhaps even more important as causes of acute illness and long-term morbidity. Early recognition of anomalies is important for planning care; with some, such as tracheoesophageal fistula, diaphragmatic hernia, choanal atresia, and intestinal obstruction, immediate medical and surgical therapy is essential for survival. Parents are likely to feel anxious and guilty on learning of the existence of a congenital anomaly and require sensitive counseling.Common Life-Threatening Congenital AnomaliesNAMEMANIFESTATIONSChoanal atresiaRespiratory distress in delivery room, apnea, unable to pass nasogastric tube through nares. Suspect CHARGE syndromePierre Robin syndromeMicrognathia, cleft palate, airway obstructionDiaphragmatic herniaScaphoid abdomen, bowel sounds present in chest, respiratory distressTracheoesophageal fistulaPolyhydramnios, aspiration pneumonia, excessive salivation, unable to place nasogastric tube in stomach. Suspect VATER syndromeIntestinal obstruction: volvulus, duodenal atresia, ileal atresiaPolyhydramnios, bile-stained emesis, abdominal distention. Suspect trisomy 21, cystic fibrosis, cocaineGastroschisis, omphalocelePolyhydramnios, intestinal obstructionRenal agenesis, Potter syndromeOligohydramnios, anuria, pulmonary hypoplasia, pneumothoraxNeural tube defects: anencephalus, meningomyelocelePolyhydramnios, elevated a-fetoprotein, decreased fetal activityDuctal-dependent congenital heart diseaseCyanosis, hypotension, murmurCHARGE, coloboma of the eye, heart anomaly, choanal atresia, retardation, and genital and ear anomalies; VATER, vertebral defects, imperforate anus, tracheoesophageal fistula, and radial and renal dysplasia.